Gate control theory was proposed by
1. Lofgren
2. Melzack and Wall
3. Alexander Beunet
4. William Halsted

Correct answer: 2. Melzack and Wall